Adolescent starts at the age of ?
1. 7 years
2. 10 years
3. 14 years
4. 17 years

Correct answer: 2. 10 years